This patient with diffuse, nonencapsulated fatty deposits is most likely to have a history of which one of the following?
1. Alcohol dependency
2. Hypercalcemia
3. Renal insufficiency
4. Rheumatoid arthritis

Correct answer: 1. Alcohol dependency

Explanation: Answer A. Alcohol dependencyMadelung's disease (also known as benign symmetric lipomatosis) is a rare disorder of unknown cause and was the diagnosis in this case. Up to 90% of patients have a history of chronic alcoholism, and there is a strong male predominance.